Which of the following test is used to differentiate the chromosome of normal and cancer cells?
1. PCR
2. Comparative genomic hybridization
3. Western Blotting
4. Southern Blotting

Correct answer: 2. Comparative genomic hybridization

Explanation: Comparative genomic hybridization (CGH) is a method that can be used only when DNA is available from a specimen of interest. This technology has been used to study cryptic chromosomal imbalances in patients with intellectual disability and multiple congenital anomalies, as well as in prenatal diagnosis. It has also been used to detect microdeletions and microduplications in cancer and in previously unidentified genomic disorders. Ref: Schwartz S., Hassold T. (2012). Chapter 62. Chromosome Disorders. In D.L. Longo, A.S. Fauci, D.L. Kasper, S.L. Hauser, J.L. Jameson, J. Loscalzo (Eds), Harrison's Principles of Internal Medicine, 18e